Anterior ethmoidal nerve suplies all except:
1. Maxillary sinus
2. Interior of nasal cavity
3. Dural sheath of anterior cranial fossa
4. Ethmoidal air cells

Correct answer: 1. Maxillary sinus

Explanation: Maxillary sinus Maxillary sinus is not supplied by ant. ethmoidal nerve.Anterior ethmoidal nerve is the branch of the nasociliary nerve; a branch of ophthalmic division of trigeminal nerve.Ant. ethmoidal nerve supplies- Dura mater of ant. cranial fossa- Ethmoidal sinuses- Roof of the nasal cavity- Anterior part of the lateral wall of nasal cavity- Anterior and upper parts of the nasal septum- Skin of the external nose to the nasal tip.